According to Hippocratus- Nelson method, pressure applied for reduction of dislocated mandible:
1. Downward pressure on molars.
2. Backward pressure on mandible.
3. Downward pressure on mandible.
4. Both A& B.

Correct answer: 4. Both A& B.

Explanation: Downward Pressure is applied on mandibular molars with simultaneous upward pressure on chin to unlock the mandible
↓
 Backward pressure on mandible to seat the condyle in glenoid fossa